Natural disasters are all except ?
1. Floods
2. Tornedo
3. Lightening strike
4. Accidental radioactive gas leak from factory

Correct answer: 4. Accidental radioactive gas leak from factory

Explanation: Ans. is 'd' i.e., Accidental radioactive gas leak from factory A natural disaster is a major adverse event resulting from natural processes of the Earth; examples include floods, volcanic eruptions, earthquakes, tsunamis, and other geologic processes. Accidental radioactive gas leak from factory is most commonly a result of human or mechanical error and thus not a natural disaster.